Amount of bile produced (ml/ day):
1. 100 - 500
2. 500 -1000
3. 1000 -1500
4. 1500 - 2000

Correct answer: 2. 500 -1000

Explanation: Ans. B i.e. 500 - 1000